78 yr old male came to OPD with chief complaint of diminution of vision in both eyes. IOP in both eyes was 24 mm Hg and there was inferior notch seen in optic nerve head. On visual fields there was a paracentral scotoma. Which of the following is the drug of choice?
1. Latanoprost
2. Timolol
3. Carbonic anhydrase inhibitor
4. Brimonidine

Correct answer: 1. Latanoprost

Explanation: the clinical feature depicts the condition towards primary open angle glaucoma Latanoprost (PG analogue) is the drug of choice for primary open angle glaucoma.